Most common cause of death in patient on chronic hemodialysis:
1. Uremia
2. Infection
3. Cardiovascular disease
4. Malnutrition

Correct answer: 3. Cardiovascular disease

Explanation: Ans: C i.e. Cardiovascular disease Complications of hemodialysis The major cause of death in patients with end stage renal disease/ ESRD receiving chronic hemodialysis or peritoneal dialysis is cardiovascular disease One further major complication affecting morbidity and mortality in the dialysis population is malnutrition